Black necrotic mass seen in the nose of a elderly diabetic patient. Most probable diagnosis ?
1. Lupus vulgaris
2. Aspergillosis
3. Mucormycosis
4. Pseudomonas infection

Correct answer: 3. Mucormycosis

Explanation: Ans. is 'c' i.e., Mucormycosis Mucormycosis is fungal infection of nose and paranasal sinuses which may prove rapidly fatal if untreated. It is seen in uncontrolled diabetics or in those taking immunosuppressive drugs. From the nose and sinuses, infection can spread to orbit, cribriform plate, meninges and brain. The rapid destruction associated with the disease is due to affinity of fungus to invade the arteries and cause endothelial damage and thrombus. It presents as black necrotic mass filling the nasal cavity and eroding the septum and hard palate. Treatment is by amphotericin B and surgical debridement.